Antibodies most specific for drug induced lupus are -
1. Anti ds DNA
2. Anti Sm
3. ANA
4. Antihistone

Correct answer: 4. Antihistone

Explanation: Ans. is 'd' i.e., Antihistone o The best screen ins test for SLE is demonstration of anti-nuclear antibodieso Sensitive testfor SLE - Antinuclear antibodies (ANA)o Specific test for SLE - Anti dsDN A, Anti Smo Antihistone antibodies are positive in more than 95 percent of patients with drug induced lupus, and signify a 'high correlation.Antinuclear antibodies in Autoimmune disease1. Anti double stranded DNA (anti dsDIVA)SLE2. Anti histone antibodiesDrug induced lupus erythematosis3. Anti Sm antibody (antibody to core protein of small nuclearSLEribonucleoprotein particles,1smith antigen) 6. Antibodies of ribonucleoprotein antigen containing ULRNPMixed connective tissue disease7. Anti DNA topoisomerase antibody (Sc/70)Syntemic sclerosis (diffuse)8. Anti centromeric antibodyLimited Scleroderma (crest)9. HistidyMRNA synthetaseInflammatory myopathy10. Anti mitochondrial antibodyPrimary1 biliary cirrhosis